True shout anopheles mosquito -
1. Larvae have siphon tube
2. Larvae are surface feeder
3. Larvae are bottom feeder
4. Larvae tie at an angle to water surface

Correct answer: 2. Larvae are surface feeder

Explanation: Ans. is 'b' i.e., Larvae are surface feeder